Impotent female is having:
1. Gonadal dysgenesis
2. Hermaphrodite
3. Vaginismus
4. Absence of ovary

Correct answer: 3. Vaginismus

Explanation: Ans/. Vaginismus